Blount Disease is involvement of
1. Proximal tibia
2. Distal tibia
3. Proximal femur
4. Distal femur

Correct answer: 1. Proximal tibia

Explanation: Blount's disease is a progressive bow-leg deformity associated with abnormal growth of posterior-medial part of proximal tibia. Ithas a triad: Internal Rotation of leg Tibia vara Hyperextension of the knee